NK cell activity is enhanced by:
1. IL1
2. TNF
3. IL 2
4. TGFb

Correct answer: 3. IL 2

Explanation: Ans. (c) IL 2(Ref: Robbins 9th/pg 192; 8th/pg 188)Cytokines secreted by NK cells: QInterferon-g (IFN-g), which activates macrophagesIL-2 and IL-15 stimulate proliferation of NK cellsIL-12 activates killing and secretion of IFN-g